Pseudodementia is seen in-
1. Alcoholism
2. Depression
3. Schizophrenia
4. Mania

Correct answer: 2. Depression

Explanation: Depression in elderly patients may mimic dementia clinically, it is called depressive pseudodementia.